Which of the following is required in the initial stage of the synthesis of haemoglobin?
1. Glycine
2. Histidine
3. Iron
4. Folic acid

Correct answer: 1. Glycine

Explanation: Heme is synthesized in the mitochondria. Starting substances required in the synthesis of heme are succinyl CoA and glycine. Pyridoxal phosphate is required for activation of glycine. Globin the protein part of hemoglobin is synthesized in ribosomes.